Complement responsible for activation of bacterial lysis is -
1. c3a
2. c3b
3. c9
4. c5a

Correct answer: 3. c9

Explanation: The MAC, which is made up of multiple copies of the final component C9, kills bacteria (especially thin-walled Neisseria) by creating pores that disrupt the osmotic balance. C3a and C5a - cause vasodilation and increased vascular permeability C3b used for opsonisation C5a also has an important role in chemotaxis. ref robbins 9/e pg 50_53